Area that lies immediately lateral to the anterior perforating substance is.
1. Orbital gyrus
2. Uncus
3. Optic Chiasma
4. Limen Insulae

Correct answer: 4. Limen Insulae

Explanation: Limen insula lies immediately lateral to substantia perforate anterior (i.e. anterior perforating substance).